Which of the following is dermatome of umbilicus:
1. T8
2. T10
3. T12
4. L1

Correct answer: 2. T10

Explanation: Ans. B T10Ref BDC, 6th ed. vol. II pg. 198* Dermatome of umbilicus is at T10.* T10 segment also supplies to:# Appendix: T9 - T10# Stomach: T6 - T10# Testis/Ovary: T10# Intestine: T9-T11